In MCH programme, best indicator for mother and child health ?
1. MMR
2. IMR
3. Still birth rate
4. Neonatal mortality rate

Correct answer: 2. IMR

Explanation: Ans. is 'b' i.e., IMR IMR is best indicator for:- Health status of a community. Level of living. Effectiveness of MCH services. IMR is second best indicator of socioeconomic status of country (under 5 mortality rate is more refined indicator for socioeconomic status).